. Urine extravasation occurs in the following in case of penile urethral rupture, EXCEPT -
1. Ischiorectal fossa
2. Scrotum
3. Abdominal wall
4. Below superficial fascia of penis

Correct answer: 1. Ischiorectal fossa